Apo B48 and apo 13,00 are expressed as two different apoproteins because of difference in :
1. RNA editing
2. RNA splicing
3. Chromosomal loci
4. Apo-B gene

Correct answer: 1. RNA editing

Explanation: A i.e. RNA editing